Strain of Japanese encephalitis vaccine is
1. Jerryl lynn strain
2. Oka strain
3. Nakayama strain
4. 17D vaccine

Correct answer: 3. Nakayama strain

Explanation: Nakayama strain and beijing strain are strains of JE vaccine.